Complication of vernal kerato conjunctivitis:
1. Cataract
2. Keratoconus
3. Retinal detachment
4. Vitreous hemorrhage

Correct answer: 2. Keratoconus

Explanation: Ans. Keratoconus